Post - term pregnancy is associated with
1. Spina bifida
2. Anencephaly
3. Congenital adrenal hyperplasia
4. Cerebral palsy

Correct answer: 2. Anencephaly

Explanation: Fetal facors predisposing to post term pregnancy

Anencephaly
Adrenal hypoplosia
X-linked placental sulfatase deficiency.